Post transplant lymphomaia most commonly associated with:
1. Epstein-Barr virus
2. Cytomegalo virus
3. Herpes simplex
4. HHV-6

Correct answer: 1. Epstein-Barr virus

Explanation: Ans. a. Epstein-Barr virus Post transplant lymphoma is most commonly associated with Epstein-Barr virus Oncogenic DNA virus Oncogenic RNA virus Human papilloma virusQ Hepatitis C virusQ Epstein-Barr virusQ Human T-cell leukemia virus type-1Q Hepatitis B virusQ Helicobacter pyloriQ Epstein-Barr Virus Epstein-Barr virus infection may lead to the following clinical conditions: Infectious mononucleosis EBV-associated malignancies: Burkitt's lymphomaQ Lymphomas in immunodeficient persons such as AIDS patients and transplant recipientsQ Nasopharyngeal carcinoma in persons of Chinese origin Post-Transplant Lymphoproliferative Disorder (PTLD) PTLD is associated with replication of EBV in B cells induced by enhanced immunosuppression, primarily observed in patients who have received more than one course of polyclonal antilymphocyte globulin (ALG) or monoclonal Clinical Features: Clinical presentation of PTLD includes fever, malaise and lymphadenopathyQ Diagnosis: The diagnosis is made by tissue biopsyQ Treatment: Polyclonal PTLD: Discontinuation of immunosuppression and antiviral therapyQ Monoclonal PTLD: Radiation, chemotherapy and occasionally surgical resection. Antibody against CD20Q represents a novel approach in treating monoclonal PTLD with favorable outcome.Q